Which of the following is the most common complication following surgery after repair of Sprengel deformity?
1. Infection
2. Brachial plexus injury
3. Mediastinitis
4. Dislocation of the shoulder

Correct answer: 2. Brachial plexus injury

Explanation: Sprengel deformity, or congenital elevation of the scapula, associated with the restriction in the motion of the scapula and glenohumeral joint. Brachial plexus injury is the most common and severe complication following surgery for Sprengel deformity. To avoid brachial plexus injuries several authors have recommended morselization of the clavicle. Ref: Maheshwari 6e pg 224.